Which of the following is the Post-Chemotherapy based staging system in Wilm's tumor
1. National Wilm's tumor staging system
2. International society of Pediatric oncology
3. AJCC TNM
4. Chadwick

Correct answer: 2. International society of Pediatric oncology

Explanation: Tumor staging is one of the most important criteria in the therapeutic and prognostic consideration of WT. The International Society of Pediatric Oncology (SIOP) staging system is based on preoperative chemotherapy but is applied after resection. The presence of metastases is evaluated at presentation, relying on imaging studies, and chemotherapy is instituted before operative intervention. The National Wilms Tumor Study Group (NWTSG) has also developed a staging system that incorporates the clinical,surgical, and pathologic information that was obtained at the time of resection but stratifies patients before the initiation of chemotherapy. The advantage of this system is that it favors stage-based therapy, thereby avoiding unnecessary chemotherapy in patients who might not otherwise benefit from it. ref : Sabiston 20th ed , chapter 66 , pg no 1889